Chromosome associated with familial polyposis colon ?
1. Chromosome 5
2. Chromosome 6
3. Chromosome 11
4. Chromosome 13

Correct answer: 1. Chromosome 5

Explanation: Ans. is 'a' i.e., Chromosome 5